Which of the following will manifest as "pachymeningitis heamorrhagica interna" ?
1. Epidural haematoma
2. Subdural haematoma
3. Subarachonoid haemorrhage
4. Brain infraction

Correct answer: 2. Subdural haematoma

Explanation: Ans. is 'b' i.e., Subdural haematoma